Regarding the antibacterial action of gentamicin, which of the following statements is most accurate ?
1. Efficacy is directly proportionate to the time that the plasma level of the drug is greater than the minimal inhibitory concentration
2. Gentamicin continues to exert antibacterial effects even after plasma levels decrease below detectable range
3. Antibacterial activity is often reduced by the presence of an inhibitor of cell wall synthesis
4. The antibacterial action of gentamicin is time dependent

Correct answer: 2. Gentamicin continues to exert antibacterial effects even after plasma levels decrease below detectable range